True about gastric stump carcinoma
1. Enterogastric reflex is the cause
2. Prognosis good after surgery
3. It is always adenocarcinoma in nature
4. Diffuse type is only variety

Correct answer: 1. Enterogastric reflex is the cause

Explanation: Usually, after Billroth II operation altered acid level, enterogatric bile reflux is the pathogenesis which increases the peptic activity causing mucosal metaplasia and dysplasia resulting in stump carcinoma Reference SRB edition:5 page:845